Misfolding of proteins is associated with the following except
1. Alzheimer's disease
2. Bovine spongiform encephalopathy
3. Tuberculosis
4. Cystic fibrosis

Correct answer: 3. Tuberculosis